Hirsutism may be seen in all the following disorders except
1. Cushings syndrome
2. Hypothyroidism
3. Congenital adrenal hyperplasia
4. Polycystic ovarian syndrome

Correct answer: 2. Hypothyroidism

Explanation: Causes of hirsutism Ref - Davidsons 23e p658